Exenatide is a newer drug proposed to be used in the treatment of:
1. Osteoporosis
2. Diabetes mellitus
3. Hyperparathyroidism
4. Anovulatory infertility

Correct answer: 2. Diabetes mellitus

Explanation: (Ref: Katzung 10/e p701) Exenatide is a glucagon like peptide analogue which is proposed to be used in the treatment of postprandial hyperglycemia.